Scottish Dog Terrier Appearance on X-ray is seen in:
1. Spondylolysis
2. Spondylolisthesis
3. Normal Lumbar spine on Posterior oblique view
4. Vertebral metastasis

Correct answer: 3. Normal Lumbar spine on Posterior oblique view

Explanation: Scottish Dog Terrier sign is Normal appearance of lumbar spine on posterior oblique X ray view Scottish Dog Collar sign is seen in Spondylolysis Beheaded Scottish Dog Sign is seen in Spondylolisthesis Winking Owl Sign is seen with Vertebral Metastasis